Which of the following reflex is NOT prominent in child at birth?
1. Moro's reflex
2. Glabellar tap
3. Crossed extensor reflex
4. Tonic neck reflex

Correct answer: 4. Tonic neck reflex

Explanation: Tonic neck reflex is prominent between 2nd and 4th months. Persistence of reflex beyond the age of 6-9 months is abnormal. Important neonatal reflexes: Sucking, rooting, and swallowing reflexes Grasp reflex Moro's reflex Glabellar tap Crossed extension Ref: Essential paediatrics by OP Ghai, 6th edition, Page 146.